Tetanus toxin acts on which of the following synaptic protein
1. R-SNARE
2. Q-SNARE
3. SNAP25
4. Rab and Munc 18

Correct answer: 1. R-SNARE

Explanation: Tetanus toxin cleaves synaptobrevin-2 . Synaptobrevin is a R-SNARE protein also known as Vesicle Associated Membrane Protein(VAMP) Q-SNARE proteins are syntaxin (Qa), SNAP25(Qb & Qc)and SM protein (Munc18) Botulinum toxin (BT) serotype A, B and E are toxic to humans. BT-A, BT-E cleaves SNAP25, BT-C cleaves both SNAP25 and syntaxin. BT-B, BT-D, BT-F, BT-G cleaves synaptobrevin- 2 (VAMP-2)